Oxygen carrying capacity of blood is largely determined by-
1. Hb level
2. Amount of CC2 in blood
3. Acidosis
4. Plasma concentration

Correct answer: 1. Hb level

Explanation: Ans. (a) Hb level(Ref: Ganong, 25th ed/p.640))Oxygen is transported in blood in two forms. They are,#Dissolved form (3%)#Combined with hemoglobin (97%)